The Gothic arch tracing device is used to record
1. The vertical dimension of occlusion
2. The centric relation
3. The centric occlusion
4. Vertical dimension at rest

Correct answer: 2. The centric relation